A 68-year-old woman had been suffering long term effects of diverticulosis and inflammation of the transverse colon. To permit operating on a patient with severe diverticulosis of the transverse colon, it would be necessary to first ligate (tie off) or clamp the source of arterial supply. Which of the following arteries will most likely be ligated?
1. Middle colic
2. Right colic
3. Superior mesenteric
4. Ileocolic

Correct answer: 1. Middle colic

Explanation: The middle colic artery is the principal source of arterial supply to the transverse colon. The right colic artery, an infrequent branch of the superior mesenteric artery, supplies the ascending colon. The ileocolic branch of the superior mesenteric artery supplies distal ileum, cecum, and ascending colon. The left colic artery provides blood supply to the descending colon.